Cells seen in MI at 48 hours are
1. polymorphs
2. Fibroblasts
3. Lymphocytes
4. Macrophages

Correct answer: 1. polymorphs

Explanation: The microscopic appearance also undergoes a characteristic sequence of changes . Typical features of coagulative necrosis become detectable within 4 to 12 hours of infarction. "Wavy fibers" also can be present at the edges of an infarct. Light microscopic features in 1-3 days include: Coagulation necrosis with loss of nuclei and striations; interstitial infiltrate of neutrophils. (Robbins basic pathology,9th edition.pg no.380)